Frued is known for
1. Psychoanalysis
2. Cognitive therapy
3. Counselling
4. Flooding

Correct answer: 1. Psychoanalysis

Explanation: Ans. a (Psychoanalysis) (Ref. Neeraj Ahuja, 5th/pg.55, 210)Psychoanalysis was first described by Sigmund Freud (1856-1939).Psychoanalysis encomprises of:1. A psychological theory of mind and personality development based primarily on the concept of intrapsychic conflict.2. A procedure for the investigation of unconscious psychic processes otherwise inaccessible3. A therapeutic technique of treating psychiatric disorder by psychological means.NAMECOMMENTSEugen Bleuler- Named schizophrenia, and held that its defining characteristic was a disorder of the thinking process.- First introduced the term autism in 1911.- Coined the term ambivalence (the coexistence of two opposing drives, desires, feelings or emotions towards the same person, object or goal) to designate one of the major symptoms of schizophrenia.Kraeplin- Coined the term 'dementia precox'.Sigmond Freud- 'Psychotherapy' is after his name.- Invention of 'psychoanalysis'